Corneal dystrophies are
1. Primary & unilateral
2. Primary & bilateral
3. Primary, bilateral with systemic disease
4. Primary, unilateral without systemic disease

Correct answer: 2. Primary & bilateral

Explanation: B i.e. Primary & bilateral